Which one of the following drugs has narrow therapeutic range ?
1. Propranolol
2. Phenytoin
3. Piroxicam
4. Prazosin

Correct answer: 2. Phenytoin